Total score in Mini Mental Status Examination is
1. 25
2. 30
3. 32
4. 35

Correct answer: 2. 30

Explanation: The MMSE is a 30-point cognitive test developed in the mid-1970s to provide a bedside assessment of a broad array of cognitive function, including orientation, attention, memory, construction, and language. Kaplan & Sadock's synopsis of psychiatry, 11th edition, page 241.